Morphine withdrawal is characterized by all EXCEPT
1. Miosis
2. Yawning
3. Lacrimation
4. Diarrhoea

Correct answer: 1. Miosis